Vit K is needed for which of these posttranslational modification processes
1. Methylation
2. Carboxylation
3. Hydroxylation
4. Transketolation

Correct answer: 2. Carboxylation

Explanation: Vitamin K functions as a cofactor for an enzyme carboxylase that catalyzes post-translation modification by carboxylation of glutamic acid (glutamate) residues on vitamin K dependent proteins.